Presence of an ossification centre in talus means that
1. The foetus is full term
2. The foetus is viable
3. The foetus was live born
4. The foetus was still born

Correct answer: 2. The foetus is viable

Explanation: Centre comes at 7 months of intrauterine life, viable